FALSE statement about High Anion gap
1. Seen in uraemia
2. Iron causes high anion gap
3. Hypercholremia present
4. Acidosis is present

Correct answer: 3. Hypercholremia present

Explanation: (C) Hypercholremia present # ANION GAP is the difference in the measured cations and the measured anions in serum, plasma, or urine.> In patients with a Normal anion gap the drop in HCO3- is the primary pathology. Since there is only one other major buffering anion, it must be compensated for almost completely by an increase in CI-> This is therefore also known as hyperchloremic acidosis. Normal anion gap is seen in diarrhea, renal tubular acidosis where in both these conditions there is loss of HCo3-.> Total parentral nutrition and addisons disease also presents with Normal anion gap .> High anion gap is seen in: Lactic acidosis, Ketoacidosis, Diabetic ketoacidosis, Alcohol abuse, Uremia. Iron and drugs like phenformin, aspirin, isoniazid also causes high anion gap.> Low anion gap is frequently caused by hypoalbuminemia(cirrhosis, nephrotic syndrome), Multiple myeloma.